Koebner's phenomenon seen in ?
1. Psoriasis
2. Lichen nitidus
3. Vitiligo
4. All the above

Correct answer: 4. All the above

Explanation: Ans. is `d' i.e., All the above See explanation- 2 of session- 1 of Skin of All India 2014-15 pattern of this book.